A 22 year old man had a Beef sandwich and Potato salad. He Vomited 2 hours after the meal. What is the probable diagnosis
1. S. aureus poisoning
2. Bacillus cereus poisoning
3. Clostridial poisonong
4. Helicobacter pylori poisoning

Correct answer: 1. S. aureus poisoning

Explanation: Preformed toxin of S. aureus causes nausea within 1-6 hours of ingestion.
Common food associated are: Poultry, potato and egg salad.